Given below is the histopathology of liver biopsy of a patient with hemochromatosis. Which of the following special stain has been used?
1. Von Kossa stain
2. Alcian blue stain
3. Perls' Prussian blue stain
4. Crystal violet stain

Correct answer: 3. Perls' Prussian blue stain

Explanation: Perls' Prussian blue reaction for ferric iron (Perls 1867) This method is considered to be the first classical histochemical reaction. Treatment with an acidic ferrocyanide solution will result in the unmasking of ferric iron in the form of the hydroxide, Fe(OH)3, by dilute hydrochloric acid. The ferric iron then reacts with a dilute potassium ferrocyanide solution to produce an insoluble blue compound, ferric ferrocyanide (Prussian blue colour). Perls' stain is used in histopathology to demonstrate iron (hemosiderin) in tissues.